Scaling can lead to uncontrolled bleeding during oral prophylaxis in a patient who is taking:
1. Corticosteroids
2. Nifedipine
3. Phenytoin
4. Heparin

Correct answer: 4. Heparin